All are findings asssociated with the prenatal diagnosis for Down's syndrome except _____
1. Reduced femur and humerus length
2. Nuchal translucency >3mm
3. Increased umbilical blood flow
4. Ventricular septum defect may be present

Correct answer: 3. Increased umbilical blood flow

Explanation: Increased umbilical flow is not seen during the prenatal screening for Down's syndrome, instead the flow is decreased. Reduced blood flow through the umbilical vessels and abnormal blood flow through ductus venosus(DV) in the first trimester are associated with chromosomal abnormalities, especially Down syndrome. This decrease in blood flow causes IUGR in infants born with Down syndrome. Ref: Nelson textbook of pediatrics 21st edition Pgno: 662